This type of endometrial hyperplasia leads to increased risk of endometrial cancer:
1. Simple
2. Proliferative
3. Atypical
4. Secretive

Correct answer: 3. Atypical

Explanation: Ans. (c) AtypicalRef. Shaw's Gynaecology 15th ed, /: 724ENDOMETRIAL HYPERPLASIAThis occurs in:# Anovulatory cycles with unopposed oestrogen acting on the endometrium# Metropathia haemorrhagica# Obese women# Polycystic ovarian disease# a woman on tamoxifen# feminizing ovarian tumours* Hyperplasia may be simple hyperplasia, glandular or atypical hyperplasia.* Simple hyperplasia is at a risk of endometrial cancer in 2% and glandular hyperplasia in 4-10%. Atypical hyperplasia, however, has the tendency to develop carcinoma in as much as 60-70%.Also Know* 80% cases of simple hyperplasia respondtop progestogens, response of atypical hyperplasia is only 50%, but with the risk of malignancy.* For this reason, atypical endometrial hyperplasia should be treated by hysterectomy and not merely by ablative technique.